Persons with mild cognitive impairments who smoke may experience a worsening of symptoms if they stop smoking. This worsening of symptoms is because nicotine acts as an agonist for receptors of a particular neurotransmitter. That neurotransmitter is
1. Acetylcholine
2. Dopamine
3. Neuropeptide Y
4. Nitric oxide

Correct answer: 1. Acetylcholine